Glyceryl trinitrate is given by sublingual route because of:
1. Short t1/2 in plasma
2. High hepatic first pass metabolism
3. High bioavailability by oral route
4. Extensive protein binding

Correct answer: 2. High hepatic first pass metabolism

Explanation: Ans. (B) High hepatic first pass metabolism(Ref: KDT 8th/e p588)Main advantage of sublingual route of drug administration is that liver is bypassed and drugs with high first pass metabolism are absorbed directly into systemic circulation.